Common between B and T cells
1. Origin from same cell lineage
2. Site differentiation
3. Antigenic mark
4. Both humoral and cellular immunity

Correct answer: 1. Origin from same cell lineage

Explanation: 1. Both T and B cells originate from same cell lineage - Lymphoid lineage 2. But, differentiation occurs at different sites-T-cell in Thymus & B-cell in Bone marrow.